"Lipidic cells" are seen in -
1. Myxoma of heart
2. Lepromatous leprosy
3. Rhabdomyoma
4. Rheumatic heart disease

Correct answer: 1. Myxoma of heart

Explanation: Microscopically there were collections of "lipidic" cells embedded in the myxoid matrix, typical of cardiac myxoma.
Ref:mayo clinic A myxoma is a rare benign tumor of the heart. Myxomas are the most common primary cardiac tumor in adults, and are most commonly found within the left atrium.Myxomas may also develop in the other heart chambers. The tumor is derived from multipotent mesenchymal cells